All of the following antifungal agents act by altering cell membrane permeability, except
1. Fluconazole
2. Amphotericin-B
3. Terbinafine
4. Griseofulvin

Correct answer: 4. Griseofulvin

Explanation: Griseofulvin is fungistatic for most dermatophytes, including Epidermophyton, Trichophyton, Microsporum, etc., but not against Candida and other fungi causing deep mycosis. Griseofulvininterferes with mitosis--multinucleated and stunted fungal hyphae are produced under its action. It also causes abnormal metaphase configurations. However, unlike the typical mitotic inhibitors (colchicine, vinca alkaloids), it does not cause metaphase arrest; rather the daughter nuclei fail to move apart or move only a short distance. It does not inhibit polymerization of tubulin (microtubular protein which pulls the chromosomes apart), but binds to polymerized microtubules and interferes with their function. Ref:- KD tripathi;pg num:-790